Goose skin or cutis anserina seen in :
1. Drowning
2. Lightening
3. Strangulation
4. Fire arm injury

Correct answer: 1. Drowning

Explanation: A i.e. Downing Cutis anserina or Goose skin is seen in drowningQ; but has no value as a diagnostic sign of death from drowning